GnRH analogue used in hormonal treatment of carcinoma prostate is?
1. Goserelin
2. Nilutamide
3. Cyproterone acetate
4. Finasteride

Correct answer: 1. Goserelin